Hyoid bone fracture does not occur in:
1. Hanging
2. Strangulation
3. Throttling
4. Choking

Correct answer: 4. Choking

Explanation: Choking is a form of suffocation Hyoid bone fracture does not occur as there is no external compression over neck.